A 35-year-old female patient Radha having children aged 5 and 6 years has history of amenorrhea and galactorrhea. Blood examination reveals increased prolactin. CT of head is likely to reveal:
1. Pituitary adenoma
2. Craniopharyngioma
3. Sheehan's syndrome
4. Pinealoma

Correct answer: 1. Pituitary adenoma

Explanation: Ans. is a, i.e. Pituitary adenomaRef: Novak 14th/ed, p1104,1109; Harrison 17th/ed, p2205-2206; Williams Gynae 1st/ed, p 338 onwards